Child knows his/her sex by the age of?
1. 2 years
2. 3 years
3. 4 years
4. 5 years

Correct answer: 2. 3 years

Explanation: O.P. Ghai 7th ed, page 30